Discectomy can be performed using
1. Open surgery
2. Microscope
3. Endoscope
4. All

Correct answer: 4. All

Explanation: Ans. D. ALLa. Discectomy is performed in case of accompanying LCS - fenestration with laminectomyb. Small disc with microscope/endoscope